Third generation IUCD ?
1. Mirena
2. Nova-T
3. Lippe's loop
4. CuT-200

Correct answer: 1. Mirena

Explanation: Ans. is 'a' i.e., Mirena